The most effective intervention to reduce newborn and child deaths is?
1. Exclusive breastfeeding for 1st 6 months
2. Vitamin D supplementation for 1st year of life
3. Iron supplementation from 6 to 12 months age
4. Temperature control in the neonatal period

Correct answer: 1. Exclusive breastfeeding for 1st 6 months

Explanation: The most effective intervention to reduce newborn and child deaths: Exclusive breastfeeding for 1st 6 months It has reduces mortality by 13%